Barrett's esophagus result in which type of carcinoma:
1. Adenocarcinoma
2. Squamous cell
3. Adenosquamous
4. Basal cell carcinoma

Correct answer: 1. Adenocarcinoma

Explanation: Barret's esophagus: Intestinal metaplasia of squamous cells of esophagus d/t reflux of gastric acid Stratified squamous epithelium of esophagus is replaced by nonciliated columnar epithelium with goblet cells. Increases risk of esophageal adenocarcinoma Interstitial like columnar cell has goblet cells which secrete mucin - identified with stain called Alcian blue